IPC321:
1. Grievous hurt
2. Hurt
3. Punishment of hurt
4. Voluntarily causing hurt

Correct answer: 4. Voluntarily causing hurt

Explanation: Ans. (d) Voluntarily causing hurtRef: The Essentials ofFSM by K.S. Narayan Reddy 31st ed. /270-71Some Important IPC sections and their definitionsINDIAN PENAL CODE:CRIMINAL PROCEDURE CODE:IPC SectionDefinitionSec 82A child under 7 yrs is incapable of committing an offence. Not applicable to railway act.Sec 83A child >7 &< 12 is presumed to be mature enough to be capable of committing an offence.Sec 84Act of a person of unsound mind/McNaughten's ruleSec 85Act of a person who's intoxicated against will.Sec 87A person less than 18 yrs cannot give valid consent to suffer any harm which may result from an act not intended or not known to cause death or grievous hurt. E.g. consent for wrestling contestSec 88 to93Legal protection to medical doctors. Sec 89 - a child < 12 yrs cannot give valid consent to suffer any harm which can occur by an act done in good faith or for itsbenefi t e.g. consent for operationSec 174Police inquestSec 176Magistrate's inquestSec 179Punishment for refusal to answer question by the policeSec 191Definition of perjurySec 193Punishment for perjurySec 197Issuing false certificate (3-7 years of punishment)Sec 201Disappearance of evidence (2 years of punishment)Sec 297Trespassing of burial placeSec 299Definition of Culpable homicideSec 300MurderSec 302Punishment for murder/infanticideSec 304Culpable homicide not amounting to murderSec 304 ACausing death by negligenceSec 304 BDowry death307Attempt to murder308Attempt to culpable homicide309Attempt to suicideSec 317Abandoning of infantsSec 318Concealment of death of childSec 319HurtSec 320Grievous hurtSec 321Voluntarily causing hurtSec 322Voluntarily causing grievous hurtSec 323Punishment for voluntary causing hurtSec 324Punishment for voluntary causing hurt by dangerous weapon/meansSec 325Punishment for voluntarily causing grievous hurtSec 326Punishment for voluntarily causing grievous hurt by a dangerous weapon/meansSec 351AssaultSec 354Assault to outrage the modesty of a woman.Sec 375Definition of rapeSec 376Punishment of rapeSec 377Unnatural sexual offenceSec 497Adultery